A heterophile antibody is found in -
1. Weil Felix test
2. Widal test
3. Elisa
4. All

Correct answer: 1. Weil Felix test

Explanation: Ans. is 'a' i.e., Weil Felix test Heterophilic agglutination reaction o Some organisms of different class or species share closely related antigens. o When serum containing agglutinin (antibody) of one organism gives agglutination reaction with the antigen of another organism, it is called heterophilic agglutination test. Examples are o Streptococcus M.G agglutination test for primary# atypical pneumonia. o Weil - Felix reaction for typhus fever. o Paul Bunnell test for 1MN. 0 VDRL